Concept of lingualised occlusion was given by
1. Gysi
2. Boucher
3. De Van
4. Arnold

Correct answer: 1. Gysi